Muscle supplied by glossopharyngeal nerve:
1. Platysma
2. Stylopharyngeus
3. Styloglossus
4. Genioglossus

Correct answer: 2. Stylopharyngeus

Explanation: Stylopharyngeus is the only muscle in the pharynx innervated by the glossopharyngeal nerve (CN IX) and is done by its motor branch, which supplies special visceral efferent (SVE) fibers to it.